The local anaesthetic with the longest duration of action is :
1. Procaine
2. Chlorprocaine
3. Lignocaine
4. Dibucaine

Correct answer: 4. Dibucaine

Explanation: * Longest acting, most potent and most toxic LA is dibucaine. * Chlorprocaine is the shortest acting LA.